Level of iodisation in salt according to PFA at Consumer level :
1. 10 ppm
2. 15 ppm
3. 30 ppm
4. 45 ppm

Correct answer: 2. 15 ppm

Explanation: Production level - 30 ppm.
Consumer level - 15 ppm.